Keratodermic sandles is a feature of -
1. Pityriasis rosacea
2. Lichen planus
3. Psoriasis
4. Pityriasis rubra pilaris

Correct answer: 4. Pityriasis rubra pilaris

Explanation: pityriasis rubra pilaris- rare papulosquamous disease clinical features: erythematous macules , patches, follicular hyperkeratotic papules. yellow orange scales progress to erythroderma-islands of normal skin-"nappies claires" waxy diffuse yellowish keratoderma of palms and soles-"keratodermic sandals" treatment: topical :emollients,salicylic acid, urea, calcipotriol, steroids for limited disease systemic: retinoids, methotrexate, PUVA,NBUVB,azthioprine, cyclosporine, TNF alpha antagonists. fitzpatricks textbook of dermatology, page 532